Most predominant normal flora of human intestine is:
1. Escherichia coli
2. Streptococci
3. Bacteroides
4. Enterococci

Correct answer: 3. Bacteroides

Explanation: Ans. C. BacteroidesMost common flora in humans is Bacteroides fragilis, which is an anaerobe. Among aerobes, Escherichia coli is the most common bacteria as a part of normal intestinal flora.